A Patient is on regular medications for co-existing medical problems. Which of the following drugs may be stopped safely with minimal risk of adverse effects before an abdominal surgery
1. Statins
2. Beta Blockers
3. ACE inhibitors/ACE Receptor Blockers
4. Steroids

Correct answer: 3. ACE inhibitors/ACE Receptor Blockers

Explanation: ACE inhibitors / ARB's should be discontinued 24-48hrs before surgery. Beta blockers,calcium channel blockers,steroids,statins are continued